A young woman is given daily injections of a substance beginning on the sixteenth day of her normal menstrual cycle and continuing for 3 weeks. As long as the injections continue, she does not menstruate. The injected substance could be which of the following?
1. FSH
2. An inhibitor of progesterone's actions
3. A PGE2 inhibitor
4. HCG

Correct answer: 4. HCG

Explanation: HCG has the same stimulatory effect as LH on the corpus luteum. Administration of HCG would cause the corpus luteum to continue to secrete estrogen and progesterone, preventing degradation of the endometrium and the onset of menstruation